First web space of toes is supplied by -
1. Femoral nerve
2. Deep peroneal nerve
3. Superficial peroneal nerve
4. Sphenous nerve

Correct answer: 2. Deep peroneal nerve

Explanation: Ans. is 'b' i.e.. Deep peroneal nerve o Branches of deep peroneal nerve are:1. Muscular branches supplyFour muscles of anterior compartment of leg (Tibialis anterior, EDL, EPL, peroneus tertius).Extensorum digitorum brevis.Sensory branch supplies adjacent sides of first and 2nd toes (1st web space).Articular branches supply:Ankle jointTarsal jointTarsometatarsal and metatarsophalongeal joint of big toe.Nerves of Lower LimbObturatorNerveFemoralNerveSciatic NerveCommon (fibular) Peroneal NerveTibial NerveOriginOriginOriginOriginLumbosacral plexus 1.2-L4Lumbosacral plexus 1.2-L4Lumbosacral plexus L4-S2Lumbosacral plexus L4-S3Movements/Muscles innervatedMovements/Muscles innervatedMovements/Muscles innervatedMovements/Muscles innervatedo Rotates thigh laterally* Obturator extemuso Abducts thigho Adductor magnus (partial)* a Adductor longus* Adductor brevis* Adducts and flexes thigh* Graciliso Flexes thigho Psoas majoro Abacuso Pectineuso Flexes thigh and flexes leg# Sartoriuso Extends leg# Vastus lateralis# Vastus intermedius# Vastus meduialis# Extends leg and flexes thigh# Rectus femoriso Extends thigh and flexes leg# Biceps femoris (short head)# Extends thigh and flexes leg# Biceps femoris (long head)# Semitendinosus# Semimembranosuso Adducts thigh* Adductor magnus (partial)# Plantar flexes footo Plantariso Gastrocnemius# Soleus# Tibialis posterioro Flexes leg# Popliteus# Flexes toes# Flexor digitorum longus# Flexor hallucis longusCutaneous innervationLateral surface of kneeDeep Fibuiar (anterior tibial) NerveOriginCommon fibular (peroneal) nerveCutaneous innervationMovements/Muscles innervatedSuperior medial side of thigho Dorsiflexes foot# Tibialis anterior# Peroneus tertiuso Extends toes* Extensor digitorum longus* Extensor hallucis longus* Extensor digitorum brevisCutaneous innervationAnterior and lateral branches supply the anterior and lateral thigh; saphenous branch supplies the miedial leg and foot.Cutaneous innervationNone Cutaneous innervationGreat and second toe (1st web space)Superficial Fibtular Nerve OriginMedial and Lateral Plantar NervesCommon fibular (peroneal) nerveOriginTibial NervesMovements/Muscles innervatedMovements/Muscles innervatedo Plantar flexes and everts foot# Peroneus longus# Peroneus brevis# Flex and adducts toes* Plantar muscles of footCutaneous innervationCutaneous innervationSole of footDorsal anterior third of leg and dorsum of foot.Sural nerveOriginTibial nerveMovements/Muscles innervatedNoneCutaneous innervationLateral and posterior one third of leg and lateral side of foot